Characteristic pathological finding in carcinoid of heart -
1. Fibrous endocordial thickening of right ventricle and tricuspid valve
2. Collagen deposition in wall of right ventricle and tricuspid valve
3. Interstitial fibrous thickening of right ventricle and pulmonary valve
4. Mononuclear inflammatory infiltrate in the wall of right atrium

Correct answer: 1. Fibrous endocordial thickening of right ventricle and tricuspid valve